Best view for interlobar pleural effusion
1. AP view
2. PA view
3. Lateral view
4. Oblique view

Correct answer: 3. Lateral view

Explanation: Major fissure (oblique) is seen only in Lateral x-ray, - so, it is best to view for interlobar pleural effusion.